The role of plasmids in conjugation was first described by Lederberg and Tatum(46) in ?
1. H.influenzae
2. Corynebacterium
3. Pseudomonas
4. Esch.Coli

Correct answer: 4. Esch.Coli

Explanation: Ans. is 'd' i.e., E. coli Bacterial conjugation was first described by Lederberg and Tatum in a strain of E.coli K-12. . First example of gene transfer by transformation -> Pneumococci . First example of restricted transduction --> E. coli . Example of lysogenic conversion --4 C. diphtheriae . First example of conjugation --> E. coli K12 . First example of transferrable multidrug resistance --> Shigella